Feature of Sickle cell trait?
1. Anemia
2. Bony Pain
3. Dactylitis
4. Isosthenuria

Correct answer: 4. Isosthenuria

Explanation: Ans. D. IsosthenuriaSickle cell traita. Heterozygous for sickle cell genes (AS)b. They have normal hematological picture with normal MCV and no anemiac. Only significant manifestation is decrease renal concentration ability presenting with isosthenuria and hematuriad. UTI is more commone. With hypoxia (as in scuba diving) venous thrombosis especially splenic vein can occurf. No treatment neededg. Sickle cell trait have protective effect for plasmodium infection.Hb sickle cell diseasea. Mild version of sickle cell disease with fewer crisesb. Visual disturbance is commonc. Painful crisis do not occurd. Renal feature includesi. isosthenuriaii. hematuriaiii. UTIiv. No treatment needed